During spermatogenesis, chromosome no. reduces to haploid at:-
1. At mitosis
2. Meiosis -I
3. Meiosis-II
4. None of above

Correct answer: 2. Meiosis -I

Explanation: The first meiotic division is known as the reduction division in which each primary spermatocyte yields two secondary spermatoctyes. Each contains 23 (Haploid) chromosomes consist of two varieties 22+X and 22+Y. Here 22 are autosomes and X & Y are sex chromosomes.